A 70–year–old man presents with deterioration of vision 3 weeks after cataract extraction and IOL implantation. Slit lamp examination shows honeycomb maculopathy and Fluorescein angiography (FA) shows 'flower petal' hyperfluorescence. The most likely diagnosis is –
1. Age related macular degeneration (ARMD)
2. Central serous Retinopathy (CSR)
3. Macular Dystrophy
4. Cystoid Macular Edema

Correct answer: 4. Cystoid Macular Edema

Explanation: Unexpected visual loss, 3 weeks after cataract surgery with 'honey comb maculopathy' and 'flower petal' hyperfluorescence on Fluorescin Angiography is characteristic of Cystoid macular Edema.